All are true about exudate except
1. More protein
2. Less protein
3. More specific gravity
4. All

Correct answer: 2. Less protein

Explanation: Ref Robbins 9/e p73 An exudate is any fluid that filters from the circulatory system into lesions or areas of inflammation. It can be a pus-like or clear fluid. When an injury occurs, leaving skin exposed, it leaks out of the blood vessels and into nearby tissues. The fluid is composed of serum, fibrin, and white blood cells. Exudate may ooze from cuts or from areas of infection or inflammation Because of presence of pus exudate consists of large amount of proteins....so Less amount of protein statement is wrong